A person present in Emergency. On examination he is found to open eyes only on painful stimuli, he says inappropriate words and moves his limbs on commands. His GCS is
1. 11
2. 10
3. 9
4. 13

Correct answer: 1. 11

Explanation: Ans. (a) 11Ref Surgery Sixer 2nd edition Page 109Based on GCS table* Eye opening on painful stimuli - 2 points* Inappropriate words - 3 points* Obeys commands to motor response - 6 points